The critical mitogen for uterine fibroid growth is
1. Estrogen
2. Progesterone
3. IGF - I & II
4. Corticosterone

Correct answer: 2. Progesterone

Explanation: Cell proliferation, extracellular matrix accumulation and cell hypertrophy which all lead to leiomyoma growth are controlled by progesterone directly.